Hallmark of Arias - stella reaction is
1. Pinopods
2. Nuclear enlargement
3. Vacuoles in cytoplasm
4. Nuclear pyknosis

Correct answer: 2. Nuclear enlargement

Explanation: Classical hallmark of nuclear enlargement in glandular cells is seen in Arias stella reaction.